Bulbocavernosus reflex is elicited by A/E
1. Glans pens
2. Clitoris
3. Tug of foley catheter
4. Peri anal

Correct answer: 4. Peri anal

Explanation: D i.e. Perianal area Reflex Location of lesion (Root value) Norma response Abnormal response Significance Cremasteric T12 - Ll Stroking the medial thigh No motion of proximal to distal produce upward motion of scrotumQ scrotum Return of normal response of Anal wink Sz - S4 Stroking perianal skin cause anal No anal sphincter bulbocaverno sphincter contractionQ contraction us, anal & Bulbocavernosus S3 - S4 Squeezing the glans penis in males, applying pressure to clitoris in females, or tugging (pulling) the bladder catheter in eitherQ cause anal sphincter contractionQ. No anal sphincter contraction. cremesteric reflex indicate that the spinal shock is over